Most commonly, ductus arteriosus is
1. Just proximal to the left common carotid
2. Just distal to the left subclavian
3. Just distal to the left common carotid
4. Just proximal to the left subclavian

Correct answer: 2. Just distal to the left subclavian

Explanation: Most commonly, the ductus arteriosus is just distal to the subclavian, and the ductus enters the pulmonary artery at its bifurcation. Ref: Nelson textbook of pediatrics 21st edition Pgno: 2344